Erythropoietin is increased in all of the following conditions except -
1. Hepatocellular carcinoma
2. Renal cell carcinoma
3. Cerebellar Hemangioblastoma
4. Pancreatic carcinoma

Correct answer: 4. Pancreatic carcinoma